Most common tumour of eyelid is:
1. Neurofibromatosis
2. Squamous cell carcinoma
3. Basal cell carcinoma
4. Rhabdomyosarcoma

Correct answer: 3. Basal cell carcinoma

Explanation: Ans. C: Basal cell carcinoma Basal cell carcinoma is also known as BCC or rodent ulcer. It is the most common malignant tumour of the eyelids and commonly affects the lower lids. BCC typically affects adults of fair complexion who have had a lot of sun exposure, or repeated episodes of sunburn. BCCs arise in otherwise normal appearing skin, unlike squamous cell carcinomas (SCCs), which often arise within preexisting solar keratoses.